All are true about panel discussion except –
1. Two way discussion
2. 6 to 20 members participates
3. Chief members initiates
4. Each one prepares the topic of discussion

Correct answer: 2. 6 to 20 members participates

Explanation: Panel discussion 

It is a two way communication.
4 - 8 persons who are qualified to talk about a topic and discuss a given problem in front of a large group or audience.
The panel comprises a chairman.
The chairman opens the meeting, welcomes the group and introduces the panel speakers.
He introduces topic briefly and invite the panel speakers to present their point of view.
After the main aspects of subject are explored by panel speakers, the audience is invited to take part.
If members of the panel are unacquainted with this method, they may have a preliminary meeting, prepare the material on the subject and decide upon the method and plan of presentation.